The most common organism causing meningitis is-
1. Staphylococcus
2. Streptococcus
3. Mycoplasma
4. Pneumococcus

Correct answer: 4. Pneumococcus